Most common organism in sickle cell anemia causing osteomyelitis is:
1. Salmonella
2. Streptococci
3. E. coli
4. Staphylococci

Correct answer: 1. Salmonella

Explanation: a. Salmonella(Ref: Nelson 20/e p 3322; Harrison's latest 19th ed pg 634; CDC website)Nelson 20th ed says: "Salmonella & Staph aureus are the 2 most common causes of osteomyelitis in children with sickle cell anemia"; So it does not help us with the answer to this question;Harrison Latest 19th ed says: "Unusual susceptibility to osteomyelitis, which may be caused by organisms, such as Salmonella, is seen in sickle cell disease".Wintrobes Hematology also says: "Although >80% of hematogenous osteomyelitis in the general population is caused by Staphylococcus, most cases of osteomyelitis occurring in individuals with sickle cell anemia are caused by Salmonella"Microorganisms in Osteomyelitis & their Clinical Associations:Most common clinical associationMicroorganismFrequent microoganism in any type of osteomyelitisStaphylococcus aureusForeign body-associated infectionCoagulase-negative staphylococci, atypical Mycobacteria, fungiCommon in nosocomial infectionsEnterobacteriaceae, Pseudomonas aeruginosa, Candida spp.Sickle cell diseaseSalmonella spp., Staphylococcus aureus, or Streptococcus pneumoniaeExposure to kittens / catsBartonella henselaeHuman or animal bitesPasteurella multocida or Eikenella corrodensImmunocompromised patientsAspergillus spp., Candida albicans, or Mycobacteria spp.